Bone age corresponds to chronological age in:
1. Uncontrolled diabetes
2. Familial short stature
3. Osteomalacia
4. Rickets

Correct answer: 2. Familial short stature

Explanation: Ans. B: Familial short stature The causes of short stature can be divided into 3 broad categories: chronic disease (including undernutrition genetic disorders), familial short stature, and constitutional delay of growth and development. Delayed bone age in a child with short stature is suggestive of hormonal/systemic disorder. Normal bone age in a short patient is more likely to be caused by a genetic cartilage dysplasia or growth plate disorder. The hallmarks of familial short stature (also referred to as genetic short stature) include bone age appropriate for chronologic age, normal growth velocity, and predicted adult height appropriate to the familial pattern (using the BayleyPinneau or Tanner-Goldstein-Whitehouse tables). By contrast, constitutional growth delay is characterized by delayed bone age, normal growth velocity, and predicted adult height appropriate to the familial pattern